HBV is associated with all of the following except ?
1. Hepatic cancer
2. Chronic hepatitis
3. Hepatic adenoma
4. Cirrhosis

Correct answer: 3. Hepatic adenoma

Explanation: Ans. is 'c' i.e., Hepatic adenoma Complications of Acute HBV infection . Fulminant hepatitis . Cirrhosis . Hepatocellular carcinoma . Chronic hepatitis . Papular acrodermatitis of child hood (Gianotti - crosti syndrome) . Glomerulonephritis . Essential mixed cryoglobulinemia (more common with HCV) . Polyarteritis nodosa (PAN) may be associated with HBV infection. Remember Hepatocellular carcinoma is the only vaccine preventable cancer.